What disappears first in post mortem rigidity?
1. Eyelids
2. Neck
3. Lower limbs
4. Upper limbs

Correct answer: 1. Eyelids

Explanation: A i.e. Eyelids